Mode of transmission to bacteria through bacteriophage is by?
1. Transformation
2. Transduction
3. Translation
4. Conjugation

Correct answer: 2. Transduction

Explanation: Transduction - Transduction is defined as transmission of a portion of DNA from one bacterium to another by a bacteriophage. During replication of virus within the cell, a piece of bacterial DNA is incorporated into the bacteriophage and is carried into the recipient bacterium at the time of infection. The phage DNA within the recipient bacterial cell integrates into the cell DNA during a process called lysogenic conversion